All the following familial syndromes are associated with development of pheochromocytomas except:
1. Sturge-Weber syndrome
2. Von Recklinghausen disease
3. MEN Type II.
4. Prader-Willi syndrome.

Correct answer: 4. Prader-Willi syndrome.

Explanation: . Prader-Willi syndrome.